Which of the following statements is false:
1. Primary tuberculosis is more common in children
2. Miliary TB is a type of secondary TB
3. Simmond's focus is seen in liver
4. Assman's focus is supraclavicular in location

Correct answer: 4. Assman's focus is supraclavicular in location